Suckling mice is used for isolation of ?
1. Coxsachie virus
2. Pox
3. Herpes
4. Adenovirus

Correct answer: 1. Coxsachie virus

Explanation: Ans. is 'a' i.e., Coxsackie virus It is necessary to employ suckling mice for the isolation of coxsackie viruses. Inoculation is usually made by intracerebral, subcutaneous and intraperitoneal route. Adult mice are not susceptible.